Investigation of choice of diphtheria carrier is:-
1. Throat Swab Culture
2. Gram's stain
3. Albert stain
4. Zeihl Neelsen stain

Correct answer: 1. Throat Swab Culture

Explanation: Investigation of choice of diphtheria carrier is throat swab. Carriers are detected by cultural methods - swabs are taken from nose and throat and it is examined by culture methods for diphtheria bacilli. Source of infection: Carriers (95%) are more common source of infection than cases (5%). Types of Carriers: Temporary (persists for a month) Chronic (persists for a year) Nasal carriers are more dangerous due to frequent shedding than throat carriers. Option 2, 3: Gram Stain and Albert stain aids in identification of C. diphtheriae but not the Investigation of choice of diphtheria carrier. Option 4: Zeihl Neelsen stain: for Mycobacterium species.